A 47-year-old woman is admitted to the hospital with signs of cavernous sinus thrombosis. Radiographic examination reveals a pituitary tumor involving the cavernous sinus, confirming the initial diagnosis. During physical examination it is suspected that the right abducens nerve of the patient has been damaged by the tumor. In which direction will the physician most likely ask the patient to turn her right eye to confirm the abducens nerve damage, assuming she is unable to perform this task?
1. Inward
2. Outward
3. Downward
4. Down and out

Correct answer: 2. Outward

Explanation: (b) Source: GAS 849-852, 855; GA 450, 465, 536The right abducens nerve innervates the right lateral rectus, which mediates outward movement (abduction) of the right eye. Inward movement is accomplished by the medial rectus, supplied by the oculomotor nerve. Downward movement in the midline is accomplished by joint activation of the superior oblique and inferior rectus muscle. Downward movement of the pupil from the adducted position is a function of the superior oblique alone, which is supplied by the trochlear nerve. Down and out motion is mediated by the combined actions of the lateral rectus and inferior rectus, which are innervated by the abducens and oculomotor nerves. Downward movement of the pupil from a forward gaze is a result of combined actions of inferior rectus and superior oblique muscles, supplied by oculomotor and trochlear nerves, respectively.